The common causative agent in diarrhea in AIDS patients is -
1. Toxoplasma
2. Cryptosporidium
3. Salmonellae
4. Mycobacteria

Correct answer: 2. Cryptosporidium

Explanation: Ans. is 'b' i.e., Cryptosporidium